All of the following are examples of a round cell tumor, except:
1. Neuroblastoma
2. Ewing's sarcoma
3. Medulloblastoma
4. haemangioblastoma

Correct answer: 4. haemangioblastoma

Explanation: The differential diagnosis of small round cell tumors include: Neuroblastoma Wilms tumor Lymphoma Rhabdomyosarcoma Ewing sarcoma/primitive neuroectodermal tumor Medulloblastoma Retinoblastoma neuroblastoma Ewing sarcoma Haemangioblastoma is CNS tumor showing proliferation of capillaries and thin walled vessels.